KussmauPs sign is a feature of pericarditis with which of the following?
1. Cardiac tamponade
2. Constrictive pericarditis
3. Restrictive cardiomyopathy
4. Pericardial effusion

Correct answer: 2. Constrictive pericarditis

Explanation: Ans. b (Constrictive pericarditis). (Ref. Harrison, Medicine, 18th/Ch. 239)CONSTRICTIVE PERICARDITIS (THICK, CALCIFIED PERICARDIUM)# Prominent X and Y descent (Freidrich's sign prominent 'Y' descent)# Kussmaul's sign# Low voltage ECG# Electrical alternans# Small RV size# Absent pulsus paradoxus